Glucocorticoids do not cause?
1. Osteoporosis
2. Hypoglycemia
3. Peptic ulceration
4. Cataracts

Correct answer: 2. Hypoglycemia

Explanation: Ans. is 'b' i.e., Hypoglycemia o Glucocorticoids cause hyperglycemia. o All other are side effects of glucocorticoids o Side effects of glucocorticoids are cuhing's habits, fragile skin, purple striae, muscular weakness, hyperglycemia, delayed wound healing hypokalemia, Na+ and water retention, hypertension, peptic ulcer, cataract, glaucoma, osteoporosis, mild euphoria, growth retardation and AVN of femoral head. Among cutaneous side effects are folliculitis (most common), atrophic changes, hypertrichosis, and purple stria are common.